A 67- year old lady is brought in by her 6 children saying that she has gone senile. Six months after her husband's death she has become more religious, spiritual and gives lot of money in donation. She is occupied in too many activities and sleeps less. She now believes thatshe has a goal to change the society. She does not like being brought to the hospital and is argumentative on being questioned on her doings. The diagnosis is:
1. Acute manic excitement
2. Delusion
3. Schizophrenia
4. Depression

Correct answer: 1. Acute manic excitement

Explanation: A i.e. Acute manic excitement For ruling out depression : None of the essential criteria (i.e. depressed mood & loss of interest or pleasure) is present For ruling out schizophrenia : No disorganized speech, disorganized behaviour, delusions, hallucinations, or blunt affect or negative symptoms. For ruling out delusion : No fixed, firm, unshakable belief, which is not according to patients cultural or ethical background